A patient with dermatomyositis reports improvement of symptoms on steroids for last 6 months. Labs did today show Creatine kinase of 1300 Units/L. What is the next step in the management?
1. Continue the same dose of steroids
2. Raise dose of steroids
3. Start mycophenolate
4. Perform muscle biopsy

Correct answer: 1. Continue the same dose of steroids

Explanation: The main objective of treatment in dermatomyositis is to improve muscle strength and reduce extra-muscular symptoms. Serum CK levels are monitored however dose adjustment of Steroids and other immuno-therapies are primarily based on the clinical examination and not CK levels. When no response is noted after adequate pharmacotherapy, alternative diagnoses and repeat muscle biopsy is considered. Hence in the case given above since symptomatic improvement has occurred though CK levels are highly elevated, oral prednisolone dose should remain the same. Mycophenolate: 2nd line drug. started when there is no/less response to oral steroids.